35 yr old female with ptosis & proximal muscle weakness. Test to be done for diagnosis - (REPEATED)
1. none
2. Muscle biopsy
3. CPK level
4. EMG

Correct answer: 4. EMG

Explanation: Harrison's principles of internal medicine 17t edition. *Single fibre electromyography ,blocking and jitter ,with normal fiber density,confirmatory.